Internal carotid artery is derivative of
1. First pharyngeal arch
2. Third pharyngeal arch
3. Fourth pharyngeal arch
4. Sixth pharyngeal arch

Correct answer: 2. Third pharyngeal arch